Pringle's Manuever is used to stop the bleeding from
1. Pancreas
2. Spleen
3. Liver
4. Kidneys

Correct answer: 3. Liver

Explanation: Ans. (c) LiverRef: Bailey and Love 27th Edition Page 1162* Occlusion of Inflow vessels at epiploic Foramen by Soft Clamp is known as Pringle Manuever.* This is done during Elective Surgery and in cases of Trauma.